A 44- years old man presented with acute onset of low backache radiating to the right lower limb. Examination revealed SLRT <40° on the right side, weakness of extensor hallucis longus on the right side, sensory loss in the first web space of the right foot and brisk knee jerk. Which of the following is the most likely diagnosis -
1. Prolapsed intervertebral disc L4-5
2. Spondylolysis L51
3. Lumbar canal stenosis
4. Spondylolisthesis L4-5

Correct answer: 1. Prolapsed intervertebral disc L4-5

Explanation: Acute onset of low backache radiating to right lower limb, positive SLR test (SLR < 40°) and weakenss of EHL suggest the PID at L4–5 level with compression of L5 root.